Posterior cruciate ligament--true statement is:
1. Attached to the lateral femoral condyle
2. Intrasynovial
3. Prevents posterior dislocation of tibia
4. Relaxed in full flexion

Correct answer: 3. Prevents posterior dislocation of tibia

Explanation: PCL prevents posterior gliding (subluxation) of tibia over femur. PCL (stouter ligamentous structure) PCL tests : Posterior drawer test Reverse pivot shift test Quadriceps active test